Nerve gas is:
1. Methyl isocyanate
2. Phosgene
3. Diphenylchloroarsine
4. Sarin

Correct answer: 4. Sarin

Explanation: Ans. Sarin